Mineralocorticoid activity of 20 microgram hydrocortisone is equal to?
1. 5 mg of fludrocortisone
2. 10 mg of fludrocortisone
3. 20 mg of fludrocortisone
4. None

Correct answer: 4. None

Explanation: Ans. is 'None' orT Some guides have given 5 mg as the answer. Which is incorrect (See following table).